Arterial supply of the cervical esophagus is by-
1. Inferior thyroid artery
2. Internal carotid artery
3. Superior thyroid artery
4. Subclavian artery

Correct answer: 1. Inferior thyroid artery

Explanation: Ans. is 'a' i.e., Inferior thyroid artery Part of esophagusArterial SupplyVenous DrainageCervicalInferior thyroid arteryInferior thyroid veinsThoracicEsophageal branches of descending thoracic aorta bronchial arteriesAzygous veinAbdominalLeft gastric arteryleft inferior phrenic arteryLeft gastric vein